Liability for wrong limb amputation can be considered under:
1. Criminal negligence
2. Civil negligence
3. Both civil and criminal
4. Contributory negligence

Correct answer: 3. Both civil and criminal

Explanation: Ans. Both civil and criminal